For the treatment of a patient with after cataract which laser is used?
1. LASIK
2. Nd-YAG
3. Excimer
4. Argon

Correct answer: 2. Nd-YAG

Explanation: Ans: B (Nd - YAG) Ref: Parson's Diseases of the Eve 21st edition pg. 584.Explanation:LasersFrequencyUsesNd:YAG1064Posterior capsulotomy, iridotomy. vitreolysisFrequencydoubledNd:YAG532Retinal photocoagulation, cyclophotocoagulationArgon green514Trabeculoplasty,iriaoplasty,pupillomydriasis, retinal photocoagulationDiode laser800Retinal photocoaqulationKrypton Red714Retinal photocoagulationExcimer(Argonfluoride)193Photorefractive keratectomy, phototherapeutic keratectomy, LASIK, LASEKFemto second laser1053In refractive surgeries and lamellar and full thickness corneal transplants to create flaps